Syndesmosis is a type of
1. Fibrous
2. Plain
3. Pivot
4. Cartilaginous

Correct answer: 1. Fibrous

Explanation: Sutures, syndosmosis and gomphosis are the types of Fibrous joint.